Safety pin appearance of bacteria is seen in ?
1. Vibrio cholerae
2. Chlamydia
3. H influenzae
4. Yersinia pestis

Correct answer: 4. Yersinia pestis